Billoh's cord are present in which part of spleen?
1. White pulp
2. Red pulp
3. Both
4. Capsule

Correct answer: 2. Red pulp

Explanation: Ans. is `b' i.e., Red pulp Histology of spleen Spleen has a capsule which is mainly composed of collagen with some elastin. Trabeculae are septae pass inwards from the capsule. Spleen is mainly composed of two parts : White pulp : The white pulp of the spleen is formed of mass of T and B lymphocytes surrounding central artery, arranged as lymphoid nodule. Each nodule is also called Malpigian bodies. Marginal zone surrounds the white pulp and contains antigen presenting cells as macrophages. Red pulp : Red pulp is made up of a mesh of leaky sinusoids (vascular sinuses) through which the red cells are squeezed. Adjacent blood spaces contain blood cells and arranged in cords called splenic cords of billoh.